Jacobson’s organ is
1. Funnel shaped
2. Along with nasopalatine ducts are called as auillary olfactory sense organs
3. Extends form eyes to oral cavity
4. All of the above

Correct answer: 2. Along with nasopalatine ducts are called as auillary olfactory sense organs

Explanation: In most mammals the nasopalatine ducts are patent and together with Jacobson's organs, are considered as auxiliary olfactory sense organs.
Jacobson's organ is a small ellipsoid (cigar shaped) structure lined with olfactory epithelium that extends from the nose to the oral cavity.